Serum amyloid associated protein is form in
1. Alzheimer's disease
2. Chronic inflammatory states
3. Chronic renal failure
4. Malignant hypertension

Correct answer: 2. Chronic inflammatory states

Explanation: The AA  (amyloid associated) type of amyloid fibriprotein is derived from a unique non- Ieg protein madeby the liver.
A fibrils are derived by proteolysis from a larger (12,000 daltons) percursorian the serum called SAA (serum amyloid - associated) protein that is synthesized in the liver and circustesbound to high density lipoproteins.
The production of SAA protein is increased in inflammatory states as part of the acute phase response, therefore, this form of amyloidosis associated with chronic inflammation, and isotten called secondary amyloidosis.